All of the following are components of Homer's syndrome except
1. Ptosis
2. Exophthalmos
3. Anhidrosis
4. Loss of cilio-spinal reflex

Correct answer: 2. Exophthalmos

Explanation: B i.e. Exopthalmos